Thinnest wall of the orbit is:
1. Medial wall
2. Floor
3. Roof
4. Lateral wall

Correct answer: 1. Medial wall

Explanation: Ans. Medial wall